Increase in pyruvate and lactate is seen in which of the following deficiency?
1. Thiamine
2. Pyridoxine
3. Niacin
4. Vitamin C

Correct answer: 1. Thiamine